Presence of it indicates remote contamination of water
1. Streptococci
2. Staphalococci
3. Clastridium pertringes
4. Nibrio

Correct answer: 3. Clastridium pertringes